Fructose intolerance is due to deficiency of
1. Aldolase B
2. F ructokinase
3. Triokinase
4. Aldolase A

Correct answer: 1. Aldolase B

Explanation: Fructose intolerance is due to deficiency of aldolase-B.Incidence out of 1 is 20,000.It is an autosomal recessive inborn error of metabolism.Fructose-1-phosphate cannot be metabolized.Accumulation of fructose -1-phosphate will inhibit glycogen phosphorylase.Ref: DM Vasudevan, 7th edition, page no: 144